MERCEDES BENZ sign seen In -
1. Volvulus
2. Gall stone
3. Struvite calculus
4. Intussuception

Correct answer: 2. Gall stone

Explanation: Ans. is 'b' i.e., Gall stoneRemmeber :o Mercedes benz sign (Also known as Jack stone sign)On xray - Gall stonesOn echocardiography - Cross section of aortic valve